Sarcoidosis is characterised by all except
1. Erythema marginatum
2. Panda sign
3. Egg shell calcification
4. Hilar lymphadenopathy

Correct answer: 1. Erythema marginatum

Explanation: Peripheral calcification of lymph nodes, "eggshell calcification," commonly occurs in patients with silicosis and coal-worker's pneumoconiosis. Sarcoidosis, postirradiation Hodgkin disease, blastomycosis, and scleroderma are other reported causes. Panda sign - The 'panda sign' is a 67Ga scan finding caused by bilateral involvement of the parotid and lacrimal glands due to sarcoidosis combined with normal uptake in the nasopharyngeal mucosa Sarcoidosis is considered with other DPLDs, as over 90% of cases affect the lungs, but the condition can involve almost any organ . Lofgren's syndrome - an acute illness characterised by erythema nodosum, peripheral arthropathy, uveitis, bilateral hilar lymphadenopathy (BHL), lethargy and occasionally fever - is often seen in young women. . Ref - Davidsons 23e p630 , Researchgate.net